Investigation of choice for posterior urethral value is
1. Cystourethroscopy
2. Retrograde urethroscopy
3. Micturating cystourethrogram
4. Cystoscopy

Correct answer: 3. Micturating cystourethrogram

Explanation: Micturating cystourethrogram is investigation of choice for posterior urethral value.